Initial investigation for obstructive jaundice is
1. USG
2. CT scan
3. ERCP
4. MRI

Correct answer: 1. USG

Explanation: Obstructive jaundiceObstructive jaundice is a particular type of jaundice and occurs when the essential flow of bile to the intestine is blocked and remains in the bloodstream.Causes of Obstructive jaundice Due to blocked bile ducts caused by gallstones, or tumors of the bile duct.Swelling of lymph glands, scar tissue (from previous infections or surgery), or a cyst, possibly of the pancreas.Clinical featuresDiagnosisTreatmentSymptoms of obstructive jaundice include yellowing of the skin and whites of the eyes; paler stools and darker urine; and intense itching. Other symptoms vary, depending on the underlying cause of the obstruction although you may also feel tired.Blood tests to examine the level of bilirubinUltrasound of the liver and bile ducts to find out the exact cause of the obstruction CT scans are also used to help examine what is causing the blockageSurgical resection ERCP or a procedure is known as Percutaneous Transhepatic Cholangiography (PTC) with percutaneous biliary drainage(Refer: Sabiston's Textbook of Surgery, 19th edition, pg no: 1535-1544)